Mucous membrane of vagina is lined by:
1. Nonkeratinized Stratified Squamous epithelium
2. Keratinized Stratified Squamous epithelium
3. Columnar cells
4. Cuboidal epithelium

Correct answer: 1. Nonkeratinized Stratified Squamous epithelium

Explanation: Ans. A: Nonkeratinized Stratified Squamous epithelium